Space of Disse is in ?
1. Spleen
2. Lyphnode
3. Liver
4. Bone

Correct answer: 3. Liver

Explanation: C i.e. Liver